For which one of the following tumours Gastrin is a biochemical marker:
1. Medullary carcinoma of thyroid
2. Pancreatic neuroendocrine tumour
3. Pheochromocytoma
4. Gastrointestinal stromal tumor

Correct answer: 2. Pancreatic neuroendocrine tumour

Explanation: . Pancreatic neuroendocrine tumour